Least common mode of transmission of HIV?
1. Homosexual contact
2. Heterosexual
3. IV drug abuse
4. Transfusion of blood products

Correct answer: 4. Transfusion of blood products

Explanation: Ans. is 'd' i.e., Transfusion of blood product o Homosexual or Heterosexual contact -4 50-70% o IV drug abuse --> 25% o Recipient of blood and blood components --> 1% o Hemophiliaes receiving factor VIII or IX 0.5%